Hotspot in a heart is seen in which scan?
1. Gallium
2. Albumin labelled
3. Thallium
4. Tc pyrophosphate scan

Correct answer: 4. Tc pyrophosphate scan

Explanation: Tc 99m pyrophosphate scan is also known as myocardial infarct scan and it depicts the segments of myocardium involved with the infarction. Get deposited in the calcified changes associated with the infarction.